In the metabolism of xenobiotics, all of the following reactions occur in phase one EXCEPT?
1. Oxidation
2. Reduction
3. Conjugation
4. Hydrolysis

Correct answer: 3. Conjugation

Explanation: Oxidation, reduction, hydrolysis, cyclization, and decyclization are phase 1 reactions conjugation, sulfation, acetylation, methylation- phase 2 Pg.no.24 KD TRIPATHI seventh edition